Broad ligament of uterus contain:
1. Ovarian vessels
2. Epophoron
3. Ovarian ligament
4. All of the above

Correct answer: 4. All of the above

Explanation: Broad ligament contains Uterine tube Round ligament Uterine artery Ovarian artery Ligament of ovary Epoophoron Paraoophoron Lymphatics